In which of the following type of tumour the HPV-6 can be detected?
1. Papilloma
2. CEOT
3. Sarcoma
4. Pyogenic Granuloma

Correct answer: 1. Papilloma